ASHA workers were trained to deliver under which of the following programmes?
1. ICDS
2. NRHM
3. RNTCP
4. None of the above

Correct answer: 2. NRHM

Explanation: NRHM was launched in the year 2005. ASHA workers were trained under the NRHM to help in bridging the gaps in rural health care delivery. Ref: Park 21st edition page: 405.